Electric pulp tests may not be performed on patients who have:
1. Hip implant
2. Pace maker
3. Dental implant
4. Prosthetic eye

Correct answer: 2. Pace maker